The following protein defects can cause hereditiary spherocytosis except :
1. Anykyrin
2. Palladin
3. Glycophorin C
4. Anion transport protein

Correct answer: 3. Glycophorin C

Explanation: Answer is C (Glycophorin-C) Hereditary spherocytosis is not associated with molecular abnormality in Glycophorin - C'. Molecular Abnormalities in Hereditary Spherocytosis Molecular abnormalities in Hereditary spherocytosis primarily involve the proteins responsible for tethering the lipid bilayer to the underlying cytoskeletal network.